Appearance of burn hematoma:
1. Honeycomb like
2. Disc shaped
3. Stellate shaped
4. Smooth and rubbery

Correct answer: 1. Honeycomb like

Explanation: Ans. Honeycomb like